Drugs used topically for dermatophvtes -
1. Econazole
2. Cyclopirox oleamine
3. Terbinafine
4. All of the above

Correct answer: 4. All of the above

Explanation: Econazole is an antifungal medication related to fluconazole (Diflucan), ketoconazole (Nizoral), itraconazole (Sporanox), and clotrimazole (Lotrimin, Mycelex). Econazole prevents fungal organisms from producing vital substances required for growth and function * Ciclopirox olamine (CPO) is a hydroxypyridone derivative that differs in structure and mechanism of action from the other known antifungal agents. This topical antifungal agent has been in use for over three decades and received its US-FDA approval Ref Harrison20th edition pg 1223